1st dose hypotension is commonly seen with
1. Yohimbine
2. Prazosin
3. Atenolol
4. Methyldopa

Correct answer: 2. Prazosin

Explanation: Alpha blockers produce 1st dose hypotension. also seen with ACE inhibitors. hence there are to be given when the patient is in supine position and asked to be taken care not to stand immediately so preffered to be given at night. Ref: KD Tripathi 8th ed.